Thermo-stability in DNA is contributed mostly by:
1. A=T
2. GEC
3. Molecular base
4. Parallel arrangement

Correct answer: 2. GEC

Explanation: B i.e. G CThermostability in DNA is constributed mostly by C GQ because there are 3 Hydrogen bonds between C & GQ. G C bonds are much more resistant to denaturation or melting than A= T rich region (2 Hydrogen bonds)